A head injury patient was brought to casualty. On examination, opens eyes to pinching finger tip, makes moaning sounds but does not talk or say anything and patient lies in normal flexion attitude. What is the GCS?
1. 7
2. 8
3. 9
4. 10

Correct answer: 2. 8

Explanation: Eye openingCriterionRatingScoreOpen before stimulusSpontaneous4After spoken or shouted requestTo sound3After finger tip stimulusTo pressure2No opening at any time, no interfering factorNone1Closed by local factor(Ex orbital )Non testableNTVerbal responseCriterionRatingScoreCorrectly gives name, place and dateOrientated5Not oriented but communication coherentlyConfused4Intelligible single wordsWords3Only moans/groansSounds2No audible response, no interfering factorNone1Factor interfering with communication (Ex: ET tube)Non testableNTBest motor responseCriterionRatingScoreObey 2-part requestObeys commands6Brings hand above clavicle to stimulus on head neckLocalising5Bends arm at elbow rapidly but features not predominantly abnormalNormal flexion4Bends arm at elbow, features clearly predominantly abnormalAbnormal flexion3Extends arm at elbowExtension2No movement in arms/legs, no None1Paralysed or other limiting factorNon testableNT